In malignant hyperthermia the increased heat production is due to :
1. Increased muscle metabolism by excess of calcium ions
2. Thermic effect of food
3. Increased sympathetic discharge
4. Mitochondrial thermogenesis

Correct answer: 1. Increased muscle metabolism by excess of calcium ions

Explanation: Ans. is 'a' i.e. increased muscle metabolism by excess of calcium ionsRef Harrison 16th/e p 105 (15th/e page 92)Malignant hyperthermiais caused by inherited abnormality in sarcoplasmic reticulum of skeletal muscleDue to this there is rapid increase in intracellular calcium levels in response to certain drugs.This leads toIncreased muscle metabolismElevated temperatureRhabdomyolysisRigidityAcidosisCardiovascular instabilityIt is often fatalDrugs which cause malignant hyperthermia areHalothane*Succinyl choline*Phenothiazines Haloperidol*